One is not the feature of obstructive jaundice
1. Pruritus
2. Elevated level of serum bilirubin
3. Raised alkaline phosphatase
4. Raised urinary urobilinogen

Correct answer: 4. Raised urinary urobilinogen

Explanation: Features of Obstructive jaundice Most common cause of obstructive jaundice is CBD stones Characterized by dark urine, clay coloured stools, icterus and Pruritus Presence of urobilinogen in urine rules out obstructive jaundice USG is the best test to differentiate medical from surgical jaundice There is raised ALP levels, cholesterol and reduced Urobilinogen Ref: Harrison's 19th edition Pgno : 1998